Agent which dissolves rubber –
1. Halothane
2. Enflurane
3. Desflurane
4. Isoflurane

Correct answer: 1. Halothane

Explanation: Halothane and methoxyflurane are absorbed by rubber.